Presence of a pansystolic murmur of Mitral Regurgitation with left axis deviation in a patient with ASD suggest:
1. TGA
2. Ostium secondum with floppy mitral valve
3. Ostium primum with floppy mitral valve
4. Pulmonary Hypertension

Correct answer: 3. Ostium primum with floppy mitral valve

Explanation: Answer is C (Ostium primum with floppy mitral valve) `Presence of a pansystolic murmur of mitral regurgitation with left axis deviation in a patient with ASD suggests the presence of ostium primum defect with a cleft mitral valve leaflet or a floppy mitral valve with mitral valve prolapse' Presence of Pansystolic Murmur in a patient with ASD suggests. Ostium Primum Defect Floppy mitral valve Cleft mitral valve Associated Rheumatic Mitral Regurgitation ASD type ECG Ostium Primum Left Axis Deviation Ostium Secondum Right Axis Deviation